Hutchinson triad consists of all except?
1. Interstitial keratitis
2. Eight cranial nerve deafness
3. Hutchison teeth
4. Mulberry teeth

Correct answer: 4. Mulberry teeth

Explanation: Hutchinson triad (syphilis) :- * Hutchinson teeth * Interstitial keratitis * Eight cranial nerve deafness